All can be seen in hypernephroma, Except:
1. Polycythemia
2. Renal vein thrombosis
3. Hypertension
4. None

Correct answer: 4. None

Explanation: Answer is D None (All may be seen): Renal cell carcinoma may present with Polycythemia (Erythrocytosis), Hypertension, Hematuria and Renal vein thrombosis. Polycythemia (Erythrocytosis), Hypertension, Hematuria are signs of Renal Cell Carcinoma. (Harrison 17th/592) Signs and symptoms in patients with renal cell cancer Presenting Sign or Symptom Incidence, degA Classic triad: hematuria, flank pain,. flank mass 10-20 Hematuria 40 Flank pain 40 Palpable mass 25 Weight mass 33 Anemia 33 Fever 20 Hypertension 20 Abnormal liver function 15 Hypercalcemia 5 Erythrocytosis 3 Neuromyopathy 3 Amyloidosis 2 Increased erythrocyte sedimentation rate 55